Post streptococcal glomerulonephritis in children is diagnosed by?
1. Heavy proteinuria, high cholesterol, high ASO titre
2. Heavy proteinuria, hematuria, low titre
3. Mild proteinuria, high hematuria, high ASO titre
4. Mild proteinuria, high cholesterol, normal ASO titre

Correct answer: 3. Mild proteinuria, high hematuria, high ASO titre

Explanation: Ans. C. Mild proteinuria, high hematuria, high ASO titreAcute glomerulonephritis is a disease characterized by the sudden appearance of edema, hematuria, proteinuria, and hypertension. It is a representative disease of acute nephritic syndrome in which inflammation of the glomerulus is manifested by proliferation of cellular elements secondary to an immunologic mechanism. Most commonly it results due to a preceding infection (hence PIGN). Most common organism implicated being streptococcal hence (PSGN)Acute poststreptococcal glomerulonephritis (PSGN) results from an antecedent infection of the skin (impetigo) or throat (pharyngitis) caused by nephritogenic strains of group A beta-hemolytic streptococci. The disease is most common in children 4-12 years of age and rare before 2 years of age or in those individuals older than 18 years. The latency period from infection may vary from 1 to 2 weeks after pharyngitis to 3 to 6 weeks after skin infections. The classic triad of gross hematuria, edema, and hypertension are the most common presenting symptoms. Hematuria is almost a universal finding with about one third of patients having gross hematuria. The dark urine is due to the oxidation of hemoglobin that turns brown after a prolonged time in an acidic environment. Gross hematuria may last up to 10 days and recur after a febrile illness. Recent poststreptococcal infection is most commonly demonstrated by serologic markers for elevated antibodies to extracellular streptococcal antigens.